"Guiding planes" relates to:
1. Path of insertion
2. Means of retention
3. Extent of undercuts
4. Tilt of abutment teeth

Correct answer: 1. Path of insertion